A 65 year old male patient with history of coronary artery disease was diagnosed with hemorroides. The anaesthesia modality of choice for haemorrhoidectomy
1. Spinal anaesthesia
2. General anaesthesia
3. Saddle anaesthesia
4. Caudal anaesthesia

Correct answer: 3. Saddle anaesthesia

Explanation: Saddle anaesthesia is spinal anaesthesia given in sitting position. After giving the drug patient is kept inthis position for 5-10 mins. Drugs only blocks sacral nerve roots and perineal anaesthesia is achieved.Since thoracic and lumbar spinal nerves are not blocked it has is no haemodynamic alteration. Caudal is the other name of sacral epidural anaesthesia commonly done in < 7 yrs old children since it is easy to approach is sacral epidural space because of unfused sacral hiatus. Caudal anesthesia requires identification of the sacral hiatus.